Male comes with acute scrotal pain. To differentiate between testicular torsion and epididymo-orchitis which is the best way
1. Angel sign
2. Prehn sign
3. Color Doppler
4. MRI

Correct answer: 3. Color Doppler

Explanation: Angel sign and prehn sign are not reliable.color Doppler is investigation of choice